Correlation between two variables are best depicted by
1. bar diagram
2. Line diagram
3. histogram
4. scatter diagram

Correct answer: 4. scatter diagram